Virchow triad includes all except:
1. Endothelial injury
2. Abnormal blood flow
3. Hypercoagulability
4. Pulmonary embolism

Correct answer: 4. Pulmonary embolism

Explanation: Ans.: D (Pulmonary embolism) "Three primary influences predispose to thrombus formation, the so-called Virchow triad: (1) endothelial injury; (2) stasis or turbulence of blood flow; and (3) blood hypercoaguiabiiity Robbins 8thf 121Fig. : Virchow triad in thrombosis. Endothelial integrity is the single most importantfactor. Note that injury to endothelial cells can affect local blood flow and/or coagulability-1; abnormal blood flow (stasis or turbulence) can, in turn, cause endothelial injury. The elements of the triad may act independently or may combine to cause thrombus formation.